The double decidual sac sign (DDSS) is the best method for ultrasound diagnosis of
1. Monoamniotic Dichorionic twins
2. Diamniotic dichorionic twins
3. Ectopic pregnancy
4. Normal pregnancy

Correct answer: 4. Normal pregnancy

Explanation: Double decidual sac sign on USG - Intra-uterine sac (Eccentrically placed) Outer layer - Decidua Parietalis Inner layer - Decidua Capsularis Indicates - Intrauterine pregnancy Intradecidual ring sign is the first sign of pregnancy on USG.